GFR will be increased if:
1. Increased hydrostatic pressure in Bowman's capsule
2. Decreased oncotic pressure in glomerular capillaries
3. Increased oncotic pressure in glomerular capillaries
4. Decreased hydrostatic pressure in glomerular capillaries

Correct answer: 2. Decreased oncotic pressure in glomerular capillaries

Explanation: Starling's forces acting at the glomerulus are as follows : (1) Factors favoring filtration - Glomerular capillary hydrostatic pressure - If it decreases, GFR would decrease. (Option D) Bowman's capsule oncotic pressure (2) Factors opposing filtration - Plasma colloid oncotic pressure - If this pressure decreases, GFR would increase. Bowman's capsule hydrostatic pressure - (option A) If this pressure increases, GFR would decrease.